Black coloured hard nodules In hair is produced by:
1. Peidra hortae
2. Epidermophyton floecosum
3. Hortae wernickii
4. Malassezia furfur

Correct answer: 1. Peidra hortae

Explanation: Ans: a) Peidra hortae Ref: Text book of Microbiology Ananthanarayana8lh editionAll are superficial mycosesPeidra - fungal infection of hair with appearance of firm, irregular nodules along hairshaftBlack piedra- Peidra hortaeWhite piedra - Trichosporon beigelli.Dermatophy tes - infect superficial keratinized tissueTrichophyton - infects skin,hair & nailMicrosporum- hair & skinEpidermophyton - nail & skinMalassezia furfur - by yeast like lipophilic fungus Pityrosporum orbiculare. Causes Pityriasis versicolor (involvement of stratum comeum with macular areas of discolouration or depigmentation of skin)Tinea nigra - localized infection of stratum comeum especially palm- black/brown macular lesions byHortae wernickii